Sustained neutropenia is seen with
1. Vinbalstine
2. Cisplatin
3. Carmustine
4. Cycloohosphamide

Correct answer: 3. Carmustine

Explanation: Refer Goodman Gilman 11/e p1330 KDT 6/e p822. Myrelosuppression leading to neutropenia ,thrombocytopenia and anemia is seen is seen with most of the anticancer drugs The characterstic features of Myelosuprresion produced by carmustine